Triangle of koch is made by:
1. Posterior leaf-let of mitral valve
2. Coronary sinus opening
3. Superior vena cava opening
4. All

Correct answer: 2. Coronary sinus opening

Explanation: B i.e. Coronary sinus opening